Riboflavin is an important group of water soluble vitamin. Cereals and pulses are relatively good sources of Riboflavin. Most common lesion associated with Riboflavin, which can also be used as an index of state of nutrition of group of children is
1. Angular stomatitis
2. Follicular keratosis
3. Diahrroea
4. Dementia

Correct answer: 1. Angular stomatitis